True about competitive inhibition of enzymea) ↑Kmb)↓ Kmc) ↑Vmaxd) No change in Km and Vmaxe) V max remain same
1. a
2. b
3. ae
4. ad

Correct answer: 3. ae

Explanation: ↑Km & 'e' i.e., V max remain same

In competitive inhibition Km is increased and Vmax remains unchanged.